Not a branch of posterior cord of Brachial plexus
1. Axillary nerve
2. Thoracodorsal nerve
3. Radial nerve
4. Ulnar nerve

Correct answer: 4. Ulnar nerve

Explanation: Long thoracic nerve arises from the nerve root of C5-C7 and it supplies serratus anterior muscle. The axillary nerve supplies the deltoid and teres minor muscles. The thoracodorsal nerve supplies the latissimus dorsi muscle. The radial nerve supplies 3 heads of triceps brachii and 12 muscles on the back of the forearm. Mnemonic Posterior cord - ULTRA U- upper subscapular nerve L-lower subscapular nerve T-thoracodorsal R-radial nerve A-axillary nerve B D Chaurasia 7th edition Page no: 58 Fig: 4.14,page no:55 BD chaurasia 6th edition.